True statement about smooth muscles
1. Presence of Caveolae
2. Ca2+ binds to troponin C
3. The anchorage for actin filaments is given by Z-lines
4. Voltage gates L-type Ca2+ channel are present in T-tubules

Correct answer: 1. Presence of Caveolae

Explanation: Smooth muscle

No T tubules. Instead it has Caveolae which is invagination of smooth muscle membrane, it has voltage gates L-type Ca2+ channel
No troponin Ca2+ binds Calmodulin
No Z lines. Achorage for actin filaments is provided by dense bodies.